True about Dressler'syndrome is all, except ?
1. Occurs within hours after myocardial infarction
2. May be due to early use of anticoagulant
3. Chest pain is common
4. Responds well to salicylates

Correct answer: 1. Occurs within hours after myocardial infarction

Explanation: Ans. is 'a' i.e., Occurs within hours after myocardial infarctiono It is a secondary form of pericarditis that occurs in the setting of injury to the heart or the pericardium. o It is also know as postmyocardial infarction syndrome or postcardiotomy pericarditis.o /t usually occurs 2-3 weeks after MI (but may also occur within 2-5 days).o It is an autoimmune inflammatory reaction to myocardial neo-antigens.o Anticoagulation therapy may precipitate it.o Clinical manifestations -4 Low grade fever, pleuritic chest pain, pericardial friction rub, pericardial effusion.o Dresseler's syndrome is typically treated with NSAIDs such as aspirin or with corticosteroids --> Because both these drugs reduce inflammation.In resistant cases colchicine may be used.